Positive Kehr's sign is
1. Haemopertionium
2. Acute cholecystitis
3. Acute pancreatitis
4. Amoebic abscess

Correct answer: 1. Haemopertionium

Explanation: Collection of clot under the left diaphragm irritate it and the phrenic nerve causing referred pain to the left shoulder - Kehr's sign and there may be associated left-sided fracture of ribs resulting in hemithorax or haemoperitoneum. SRB 5 th edition page no. 670